Heat labile immunoglobulin
1. IgA
2. IgG
3. IgE
4. IgM

Correct answer: 3. IgE

Explanation: Ans. is 'c' i.e., IgE Only heat labile Ig Inactivated at 56 degrees C in one hour.